Not seen in faecal pollution
1. Staphylococcus
2. Streptococcus
3. E. coli
4. ClostridiumPerfringens

Correct answer: 1. Staphylococcus

Explanation: The primary bacteriological indicators for faecal contamination are → Coliform gp. of organisms.
Supplementary indicators are →              
Streptococci faecalis,
Clostridium perfringens (also k/a cl. welchi)